True about gall stones -
1. More common in female
2. Gall stones, haitus hernia, CBD stones form Saints triad
3. Limely bile precipitated
4. Lithotripsy always done

Correct answer: 1. More common in female

Explanation: Women are three times more likely to develop gallstones than men, and first degree relatives of patients with gallstones have a two-fold greater prevalence" Ref -Schwartz, 9/e p1142.